All are features of Hemolytic Anemia, except:
1. Hemoglobinuria
2. Jaundice
3. Increased haptoglobulin
4. Hemosiderinuria

Correct answer: 3. Increased haptoglobulin

Explanation: Increased haptoglobulin